Person at night looks at the window and frightens. Wife switches the light on and turns out that window cover is having a shape like a man. This is -
1. Hallucination
2. Illusion
3. Delusion
4. Hyperacusis

Correct answer: 2. Illusion

Explanation: Ans. is 'b' i.e. illusion o Altered perception of real object (i.e presence of external stimulus) - Illusiono False perception without external stimulus - Hallucination.# Here in this question external stimulus is present in the form of man shaped window cover. So it is an example of illusion.o A delusion is a disorder of thought content characterized by false, firm (unshakeable) belief that is not accepted by other members of patient's culture and societyo Hyperacusis is perceiving normal sounds as abnormally loud.